Which one of the following statements concerning liver sinusoids is true?
1. Their lining includes Ito cells
2. They receive bile from the hepatocytes
3. They are lined by nonfenestrated endothelial cells.
4. Space of Disse is located between sinusoidal cells and hepatocytes.

Correct answer: 4. Space of Disse is located between sinusoidal cells and hepatocytes.

Explanation: Liver sinusoids Convey blood to the central vein. Their endothelial cells are fenestrated, Material from the sinusoids may enter the space of Disse through the fenestrae, where it may be endocytosed by hepatocytes. The space of Disse houses Ito cells (fat-storing cells). Because bile is the exocrine secretion of hepatocytes, it does not enter the sinusoids.